The electrostatic precipitator are used in the prevention of -
1. Radiation risks
2. Air pollution emissions
3. Mosquito nuisance
4. Diffuse vibrations

Correct answer: 2. Air pollution emissions

Explanation: An electrostatic precipitator (ESP) is a filtration device that removes fine particles, like dust and smoke, from a flowing gas using the force of an induced electrostatic charge minimally impeding the flow of gases through the unit. In contrast to wet scrubbers, which apply energy directly to the flowing fluid medium, an ESP applies energy only to the particulate matter being collected and therefore is very efficient in its consumption of energy (in the form of electricity) Ref: https://en.m.wikipedia.org/wiki/Electrostatic_precipitator